Structure derived from first pharyngeal arch:
1. Levator palatini
2. Buccinator
3. Stylohyoid
4. Anterior belly of digastric

Correct answer: 4. Anterior belly of digastric

Explanation: Answer D. Anterior belly of digastricMESODERMAL DERIVATIVES OF PHARYNGEAL ARCHESPharyngeal archMuscular contributionsSkeletal contributionsNerveArteryIst (also called "mandibular arch")MylohyoidMuscles of masticationAnterior belly of digastricTensor veli palatiniTensor tympaniMaxillaZygomatic bonepa of temporal and vomer, sphenoid, mandibleMeckel's cartilage:- Malleus, incusAnterior ligament of malleussphenomandibular ligamentMandibular division of Trigeminal Nerve (V3).Maxillary arteryIInd (also called the "hyoid arch")StapediusStylohyoidPosterior belly of digastricFacial expression musclesReichert's cartilage, stapes (except footplate)Styloid processStylohyoid ligamentSmaller cornu of hyoidSuperior part of body of hyoidFacialStapedial arteryIIIrdStylopharyngeusGreater cornu of hyoidLower part of body of hyoidGlossopharyngea Carotid (common carotid/ internal carotid)IVthPharyngeal musclesCricothyroidCartilage of larynx except arytenoidssuperior parathyroids, epiglottic cartilageSuperior laryngeal branch of VagusLeft-arch of Aorta Right-subclavian arteryVIthIntrinsic muscles of larynx (except cricothyroid)Arytenoid cartilages of larynxRecurrent laryngeal nerve (branch of vagus)Left-Left Pulmonary artery, ductus arteriosus Right- Right pulmonary artery